Which is true about dislocation of hip joint?
1. Posterior dislocation is commoner
2. In posterior dislocation whole lower limb is rotated medially
3. In anterior dislocation whole lower limb is rotated laterally
4. All of the above

Correct answer: 4. All of the above

Explanation: D i.e. All of the above